A 16-year-old boy fell from a motorcycle, and his radial nerve was severely damaged because of a fracture of the midshaft of the humerus. Which of the following conditions would most likely result from this accident?
1. Loss of wrist extension leading to wrist drop
2. Weakness in pronating the forearm
3. Sensory loss over the ventral aspect of the thumb
4. Inability to oppose the thumb

Correct answer: 1. Loss of wrist extension leading to wrist drop

Explanation: Injury to the radial nerve results in: Loss of wrist extension - wrist drop. The median nerve innervates the: Pronator teres, Pronator quadratus, Opponens pollicis muscles and Skin over the ventral aspect of the thumb. The ulnar nerve innervates the dorsal interosseous muscles, which act to abduct the fingers.